The right gastroepiploic artery is a branch of
1. Right Hepatic artery
2. Gastroduodenal artery
3. Hepatic artery
4. Superior mesenteric artery

Correct answer: 2. Gastroduodenal artery

Explanation: Right gastroepiploic artery, a branch of gastroduodenal supplies the greater curvature of the stomach. Ref: BD Chaurasia; Volume 3; 6th edition; Page no: 252